Which of the produces non caseating granuloma.
1. Histoplasmosis
2. Sarcoidosis
3. Syphilis
4. Coccidiomycoses

Correct answer: 2. Sarcoidosis

Explanation: Sarcoidosis and hodgkins Lymphoma
Produces non-caseating granuloma

Option a,c,d produces caseating lymphoma.